Violent inversion of the foot will lead to avulsion of tendon of which the following muscle attached to the tuberosity of the 5th metatarsal?
1. Peroneus brevis
2. Peroneus longus
3. Peroneus tertius
4. Extensor digitorum brevis

Correct answer: 1. Peroneus brevis

Explanation: Tuberosity of 5th metatarsal base avulsion may occur with violent inversion of foot. Peroneus brevis inserts here.